Which are characteristics of a major connector that contribute to health and well-being?
1. It is rigid and provides unification of the arch stability.
2. It does not substantially alter the natural contour of the lingual surface of the mandibular alveolar ridge or the palatal vault.
3. It contributes to the support of the prosthesis.
4. All of the above.

Correct answer: 4. All of the above.

Explanation: Rigidity is provided by cross-arch stability through the principle of broad distribution of stress. The major connector should not alter dramatically the contours of the supporting structures, and it should contribute to the support of the prosthesis.